Which of the following is a characteristic of a point source epidemic ?
1. Herd immunity regulates spread of cases
2. Person to person transmission is seen
3. Secondary wave of cases is always seen
4. All cases develop within one incubation period

Correct answer: 4. All cases develop within one incubation period

Explanation: Ans. is 'd' i.e., All cases develop within one incubation period